A 45-years old woman with diagnosis of atypical adenomatous hyperplasia of the endometrium should be treated by :
1. Progesterone
2. Danazol
3. Hysteroscopic resection of endometrium
4. Hysterectomy

Correct answer: 4. Hysterectomy

Explanation: Hysterectomy